During the treatment of chronic myeloid leukemia cytogenetic is least likely to occur with which one of' the following modalities of treatment ?
1. Hydroxyurea
2. imatinib mesylate
3. Interferon-alpha
4. Bone marrow transplantation

Correct answer: 1. Hydroxyurea

Explanation: Common side effects include bone marrow suppression, fevers, loss of appetite, psychiatric problems, shortness of breath, and headaches.There is also concern that it increases the risk of later cancers. Use during pregnancy is typically harmful to the baby.Hydroxycarbamide is in the antineoplastic family of medications. It is believed to work by blocking the making of DNA. Hydroxycarbamide, also known as hydroxyurea, is a medication used in sickle-cell disease, chronic myelogenous leukemia, cervical cancer, and polycythemia vera.In sickle-cell disease it increases hemoglobin and decreases the number of attacks. It is taken by mouth Hydroxycarbamide is used for the following indications: Myeloproliferative disease (primarily polycythemia vera and essential thrombocythemia). It has been found to be superior to anagrelide for the control of ET. Sickle-cell disease(increases production of fetal hemoglobin that then interferes with the hemoglobin polymerisation as well as by reducing white blood cells that contribute to the general inflammatory state in sickle cell patients.) Second line treatment for psoriasis(slows down the rapid division of skin cells) Psoriasis Systemic mastocytosis Chronic myelogenous leukemia (largely replaced by imatinib, but still in use for its cost-effectiveness Ref Davidson 23rd edition pg 783